Which of the following denotes the MANAGEMENT of Acute Osteomyelitis?
1. Surgical excision of infected bone
2. Antibiotic treatment soon after taking blood sample
3. Sequestrectomy
4. Amputation

Correct answer: 2. Antibiotic treatment soon after taking blood sample

Explanation: Ans. B. Antibiotic treatment soon after taking blood sampleDifferent microorganisms that reach at bone through different routes leads to an infection of bone which is known as Osteomyelitis.According to the duration of infection, osteomyelitis can be classified as acute and chronic. Although it is ill defined as there is no clear time limit for the transition from acute to chronic osteomyelitis, serves useful because the management of Acute and Chronic Osteomyelitis differs. Antibiotics alone can be used for the treatment of acute osteomyelitis whereas chronic osteomyelitis should be combined with debridement surgery.Over a short period i.e., a few days or weeks contiguous osteomyelitis or acute hematogenous evolves. In contrast, chronic or subacute osteomyelitis lasts for weeks or months before the initiation of treatment.